Test used to detect semen:
1. Phenolphthalein test
2. Reine's test
3. Barberio's test
4. Takayama test

Correct answer: 3. Barberio's test

Explanation: Ans. Barberio's test